Bishops score includes:
1. Dilatation of cervix
2. Effacement
3. Cervical softening
4. All of the above

Correct answer: 4. All of the above

Explanation: Ans. is a, b, c and i.e. Dilatation of cervix; Effacement; Cervical softening; and Position of head Bishop score is a quantitative method for prediction of successful induction of labour. It includes the following parameters : Cervical Dilatation Cervical Position Cervical Effacement Head Station Cervical Consistency Mnemonic : Delhi Police Employed Special Commandos. Bishop scoring in detail Score Dilatation (cm) Effacement (%) Station* Cervical Consistency Cervical Position 0 Closed 0 -- 30 -- 3 Firm Posterior 1 1 -- 2 40 -- 50 -- 2 Medium Midposition 2 3 - 4 60 - 70 - 1, 0 Soft Anterior 3 >5 >80 +1, +2 * Station reflects a -3 to +3 scale. Induction of labour is successful with a score of 9 or more and is less successful with lower scores. A score of < 4 means ripening of cervix is indicated.